Which of the following is considered as an anxiolytic substance?
1. Caffeine
2. Cholecystokinin
3. Neuropeptide Y
4. Carbondioxide

Correct answer: 3. Neuropeptide Y

Explanation: Anxiolytic substances Anxiogenic substances Benzodiazepines Selective Serotonin Reuptake Inhibitors Beta-blockers Neuropeptide Y Buspirone Carbon dioxide Cholecystokinin Flumazenil Caffeine